Bitter almond odour is percieved in poisoning with -
1. Cobalt
2. Arsenic
3. Cyanide
4. Lead

Correct answer: 3. Cyanide

Explanation: Ans. is 'c' i.e., Cyanide Odors associated with poisoningso Garlik like: Phosphorus, arsenic, zinc phosphide, aluminium phosphide (celphos), arsine gas, tellurium, parathion, malathion, arsenic.o Rotten eggs : Hydrogen sulphide, mercaptans, disuiphiram.o Fishy or musty: Zinc phosphide,o Bitter almonds : Cyanide, HCNo Acrid: Paraldehyde, chloral hydrate,o Burnt rope : Cannabis.o Kerosene like : Kerosene and organophosphates.o Phenolic smell: Carbolic acid.